Herd immunity is not seen in-
1. Poliomyelitis
2. Measles
3. Diphtheria
4. Tetanus

Correct answer: 4. Tetanus